Aerobic digestion of sludge takes place in – a)  Trickling filterb) Broad irrigationc) Activated sludged) Septic tank
1. a
2. bc
3. ac
4. b

Correct answer: 3. ac